Which one of the following clearly states the role of cerebellum in motor performance
1. Planning and programming of movement
2. Convert abstract thought into voluntary action
3. Initiation of skilled voluntary action
4. Smoothens and coordinates ongoing movements

Correct answer: 4. Smoothens and coordinates ongoing movements

Explanation: Initiation of skilled voluntary action is from motor cortex.
Convert abstract thought into voluntary action is same as planning and programming. Planning and programming, though a function of cerebellum, requires basal ganglia to be involved.
The clear and best known function of cerebellum is smoothening and co-ordination of ongoing movements.